Prolonging a person's life through technological means is known as :?
1. Dysthanasia
2. Novus actus interveniens
3. Euthanasia
4. Orthotanasia

Correct answer: 1. Dysthanasia

Explanation: Ans. is 'a' i.e., Dysthanasia In medicine, dysthanasia means "bad death" and is considered a common fault of modern medicine: Dysthanasia occurs when a person who is dying has their biological life extended through technological means without regard to the person's quality of life.